In a status epilepticus patient, first line of drugs is
1. Benzodiazepine
2. Phenytoin
3. Barbiturates
4. Magnesium

Correct answer: 1. Benzodiazepine

Explanation: IV benzodiazepines are initiated first in a status epilepticus patient, followed by IV antiepileptics.If refractory seizures, phenobarbital may be given.Ref: Harrison 19e 2558